Which of the following is a mode of primary prevention?
1. Administration of vit A in children
2. Treating a sputum + ive case of TB
3. Splinting a fractured leg
4. Providing wheel chair for the limbless

Correct answer: 1. Administration of vit A in children

Explanation: Here the vitamin A administration removes the risk factor. Hence it is a primary prevension strategy.